All of the following radioisotopes are used as systemic radionucleide, except –
1. Phosphorus-32
2. Strontium- 89
3. Iridium-192
4. Samarium-153

Correct answer: 3. Iridium-192

Explanation: Radionuclides used for systemic radiotherapy are 32P, 131I, Strontium - 89, Samarium - 153, Yttrium, and Rhenium.